The surest sign of intrauterine death includes
1. Small sized fetus
2. Over riding of cranial bones
3. Spalding's sign
4. Gas in aorta

Correct answer: 4. Gas in aorta

Explanation: (D) Gas in aorta # Straight X-ray abdomen: The following features may be found in varying degree, either singly or in combination.> Hyperflexion of the spine is more common. In some cases hyperextension of the neck is seen.> Crowding of the ribs shadow with loss of normal parallelism.> Appearance of gas shadow (Robert's sign) in the chambers of the heart and great vessels may appear as early as 12 hour;; but difficult to interpret. When detected, provides conclusive evidence.